Involvement of erector pili muscle after death causes?
1. Cutis cervicalis
2. Cutis Laxa
3. Cutis marmorata
4. Cutis anserine

Correct answer: 4. Cutis anserine

Explanation: ANSWER: (D)Cutis anserineREF:Review of Forensic Medicine and Toxicology By Gautam Biswas 2nd ed page 157Cutis anserine = Goose skin= horripilation is granular appearance of the skin caused by contraction of erector pilorum muscles are found on the anterior surface of the body, particularly the extremities, seen in drowning.This is due to the rigor mortis of erector pilorum muscles of hair follicles in the skin and subcutaneous tissues